Which of the following composes majority of the leukocyte infiltrate after the first 24 hours of inflammatory response?
1. Neutrophil
2. Monocyte
3. Lymphocyte
4. Eosinophil

Correct answer: 2. Monocyte

Explanation: The nature of the leukocyte infiltrate varies with the age of the inflammatory response and the type of stimulus. In most forms of acute inflammation neutrophils predominate in the inflammatory infiltrate during the first 6 to 24 hours and are replaced by monocytes in 24 to 48 hours. Ref: Robbins 8th edition Chapter 2.